Phenylpyruvic acids in the urine is detected by:
1. Guthrie's test
2. VMA in urine
3. Gerhas test
4. Ferric chloride test

Correct answer: 4. Ferric chloride test

Explanation: Ferric chloride test is a quantitative test for the detection of phenylketonuria; the addition of ferric chloride to urine give rise to a blue green colour in the presence of phenylketonuria. This colour is due to phenylpyruvate.